Which of the following structure is derived from umbilical artery?
1. Ligamentum arteriosum
2. Medial umbilical ligament
3. Ligamentum venosum
4. Ligamentum teres

Correct answer: 2. Medial umbilical ligament

Explanation: Ans. B Medial umbilical ligamentRef: Lamtnan Embryology pg. 148Fetal structureAdult structureForamen OvaleFossa OvalisUmbilical vein (intra-abdominal part)Ligamentum teresDuctus venosusLigamentum venosumUmbilical arteries and Proximal part of umbilical arteryMedial umbilical ligaments Superior vesicular artery (supplies bladder)Ductus arteriosusLigamentum arteriosum